Adeno carcinoma of gall bladder are always located in -a)  Fundusb)  Neckc) Hartmann's pouchd)  Bile duct
1. ac
2. a
3. ad
4. ab

Correct answer: 4. ab

Explanation: Carcinoma of Gall bladder

Carcinoma of gall bladder are adenocarcinoma.
The most cammon sites of involvement are the fundus and the neck, about 20% involve the lateral walls.
There are two growth patterns.
(i)  Infiltrating-more common
(ii) Exophytic